Which of the following is NOT a MAO inhibitor ?
1. Tranylcypromine
2. Isocarboxazide
3. Phenelzine
4. Maprotiline

Correct answer: 4. Maprotiline